Anaplasia is
1. Lack of functional differentiation
2. Lack of structural differentiation
3. Is a characteristic feature of malignancy
4. All of the above

Correct answer: 4. All of the above